After 3 days of fever patient developed maculo erythematous rash lasting for 48 hrs diagnosis is:
1. Fifth disease
2. Rubella
3. Measles
4. Roseola infantum

Correct answer: 4. Roseola infantum

Explanation: D i.e. Roseola infantum Roseola infantum/ Exanthema subetum/ Sixth disease Erythema Infectiosum (Fifth disease) Rubella/ Third disease Rubeola/ First disease (Measles) Eto HHV - 6 Human parvo virus B-19 Toga virus Paramyxovirus ciF * Affects < 3 yrs old child - Involves mostly 3-12 - Forchheimers - Koplik's spots - Maculopapular lesions years age group spots - Discrete lesions that sparing face - Bright red slapped cheek - Spreads from hair become confluent as - Resolve with in 2 days appearance f/b diffuse lacy line down-ward & rash spreads from hair (48 hrs) reticular rash that waxes and cleaning as it line downwards wanes over 3 weeks. spreads sparing palms and sole, lasts >=3 days